Definitive diagnosis of Hirschsprung's disease is done by?
1. Rectal Manometry
2. Barium enema
3. Rectal Biopsy
4. Enteroclysis

Correct answer: 3. Rectal Biopsy

Explanation: Hirschsprung's disease - is characterised by the absence of ganglionic cells in the distal colon and rectum - it occurs due to the failure of migration of neural crest cells to distal bowel segments - affects cells in both - myenteric and submucosal plexuses - functional obstruction developes in the affected part. It can be anatomically divided into four types according to the length of the aganglionic segment: short segment disease: ~75% rectal and distal sigmoid colonic involvement only long segment:~15% typically extends to splenic flexure/transverse colon total colonic aganglionosis:~7.5% (range 2-13%) also known as Zuezler-Wilson syndrome occasional extension of aganglionosis into the small bowel ultrashort segment disease 3-4 cm of internal anal spinchter only controversial entity - Definitive diagnosis :- by rectal biopsy Barium enema demonstrates cone shape transition zone and reversal of rectosigmoid ratio. Most important sign on barium enema is a sudden change of caliber from the narrow aganglionic segment and dilated proximal bowel